Under which of the following condition uterus shows both hypertrophy and hyperplasia at the same time?
1. Pregnancy
2. Multiparity
3. Nulliparity
4. Puberty

Correct answer: 1. Pregnancy

Explanation: During pregnancy, the myometrium goes through a period of extensive growth involving both hyperplasia (increasing the number of smooth muscle cells), cell hypertrophy, and increased collagen production by the muscle cells, which strengthens the uterine wall. This well-developed uterine myometrium contracts very forcefully during parturition to expel the infant from the uterus. After pregnancy, uterine smooth muscle cells shrink and many undergo apoptosis, with removal of unneeded collagen, and the uterus returns almost to its prepregnancy size. Ref: Mescher A.L. (2013). Chapter 22. The Female Reproductive System. In A.L. Mescher (Ed), Junqueira's Basic Histology, 13e.